Total live birth / women in reproductive age is-
1. General fertality rate
2. Birth rate
3. General marital fertality rate
4. None

Correct answer: 1. General fertality rate

Explanation: CRUDE BIRTH RATE
Crude birth rate is the nativity or childbirths per 1,000 people per year. It can be represented by number of childbirths in that year, and p is the current population. This figure is combined with the crude to produce the rate of natural population growth (natural in that it does not take into account net migration).